Inferior most structure of right hilium is
1. Bronchus
2. Inferior pulmonary vein
3. Pulmonary artery
4. Inferior bronchial vein

Correct answer: 2. Inferior pulmonary vein

Explanation: Superior pulmonary vein is the anterior most and inferior pulmonary vein is the inferior most structures of both lung hiliumQ.Upper most structure of hilum (root) of lung is pulmonary artery (left side)Q and eparterial (superior lobar) bronchus (on right side) Q.